Frey's syndrome is due to:
1. Aberrant cross-innervation of post-ganglionic parasympathetic fibres for parotid to postganglionic sympathetic fibres supplying the sweat glands of skin
2. Pre-ganglionic parasympathetic fibres of parotid to post-ganglionic sympathetic fibres of sweat glands of skin
3. Post-ganglionic parasympathetic fibres secretomotor of the parotid to pre-ganglionic sympathetic fibres of sweat glands of skin
4. None of the above

Correct answer: 1. Aberrant cross-innervation of post-ganglionic parasympathetic fibres for parotid to postganglionic sympathetic fibres supplying the sweat glands of skin

Explanation: Both fibres are post-ganglionic.Secretomotor fibres to parotid originate in tympanic branch of CN IX, travel through middle ear, relay in otic ganglion and supply the parotid through auriculotemporal. Similarly, secretomotor fibres to sweat glands of the skin over the parotid area are sympathetic in nature and are post-ganglionic as they relay in cervical sympathetic ganglia.Aberrant re-innervation, i.e. secretomotor fibres of parotid now making connections with secretomotor fibres of sweat glands causes Frey's syndrome or gustatory sweating. Sweating occurs over the preauricular skin in response to stimulus to secrete saliva from the parotid.